Frontotemporal deme tips include A/E -
1. Pick's disease
2. Nonfluent aphasia
3. Semantic dementia
4. Alzheimer's disease

Correct answer: 4. Alzheimer's disease

Explanation: Frontotemporal dementias:- Pick's disease, Behavioral variant, Progressive nonfluent aphasia, FTD with motor neuron disease (amyotrophic lateral sclerosis), Semantic dementia.